More false positive cases in a community signify that the disease has-
1. High prevalence
2. High sensitivity
3. Low prevalence
4. Low sensitivity

Correct answer: 3. Low prevalence